Capgras syndrome is ?
1. Sharing of delusion
2. Delusion of double
3. Erotomania
4. Hypochondriacal delusions

Correct answer: 2. Delusion of double

Explanation: Ans. is 'b' i.e., Delusion of double Capgras syndrome is delusion of double. The delusional misidentification syndrome (DSM) DSM is characterized by misidentification delusions of other or self. Four main syndromes are differentiated : ? Capgras syndrome (Delusion of double) :- Patient falsely sees a familiar person as a complete stranger who is imposting on him as a familiar person. Fregoli syndrome (illusion de fregoli) : - The patient falsely identifies stranger as familiar person. Syndrome of subjective double : - The patients own self is perceived as being replaced by a double. Syndrome of intermetamorphosis : - A false belief that a person can transform into another person. These syndrome most commonly appear in schizophrenia. Other causes are Alzheimer syndrome, head injuries, and delusional disorders